Statin action on HMG CoA reductase is
1. Competitive inhibitor
2. Irreversible inhibitor
3. Non competitive inhibitor
4. Inhibition result in decrease LDL receptors on hepatocytes

Correct answer: 1. Competitive inhibitor